Which vaccine is most effective-
1. Cholera
2. Typhoid
3. Yellow fever
4. Chicken pox

Correct answer: 3. Yellow fever

Explanation: for international use the approved vaccine is 17D vaccine.which is grown in chick embryo cells.but its sensitivity to heat is a major drawback.reconstituted vaccine should be kept on ice.route of administration is subcutaneous in a single dose of 0.5 ml irrespective of age.immunity begins to appear on the 7th day and lasts for around 35 years .contraindicated in pregnancy,children belw 9 months,and people with severe allergies to egg protein. ref:park's textbook,ed 22,pg no 258